All are true about thymus, EXCEPT:
1. Derived from third and fourth pharyngeal pouch
2. Located in the anterior mediastinum
3. It is composed of epithelial and stromal cells
4. The medulla of thymus contains 85 % of the lymphoid cells

Correct answer: 4. The medulla of thymus contains 85 % of the lymphoid cells

Explanation: THYMUS: Derived from the third and fourth pharyngeal pouches Located in the anterior mediastinum. Composed of epithelial and stromal cells derived from the pharyngeal pouch and lymphoid precursors derived from mesodermal cells. It is the site to which bone marrow precursors migrate to complete their differentiation. It has cortex and the medulla. The cortex contains 85% of the lymphoid cells, and the medulla contains 15%. Thymic abnormalities are very rare. If the thymus does not develop properly, severe immunodeficiency is seen (e.g., DiGeorge syndrome). If a lymphoid cell within the thymus becomes neoplastic, it is a lymphoma. The majority of lymphoid tumors that develop in the thymus are precursor T cell lymphoblastic lymphoma Rare B cell neoplasm in the thymus is mediastinal (thymic) B cell lymphoma Ref: Harrison, E-18, Chapter e-20